Helicobacter pylori is implicated as causative agent in
1. Hodgkin's Lymphoma
2. Non-Hodgkin's Lymphoma
3. MALT Lymphoma
4. Mantle cell Lymphoma

Correct answer: 3. MALT Lymphoma

Explanation: Helicobacter pylori infection is causative agent in MALT Lymphoma.